Chandler index is used for -
1. Anchylostoma duodenale
2. Ascariasis
3. Guinea worm infestations
4. Filariasis

Correct answer: 1. Anchylostoma duodenale

Explanation: Chandlers index is used for hook worm infestation. Reference:Park's textbook of preventive and social medicine,K.Park,21st edition,page no:221 & 22nd edition, pg no:221.